All the following are included in APGAR scoring except
1. Heart rate
2. Color
3. Muscle tone
4. Temperature

Correct answer: 4. Temperature

Explanation: The Apgar score is a practical method of systematically assessing newborn infants immediately after birth. The Apgar score was not designed to predict neurologic outcome. Low Apgar scores and umbilical artery blood pH predict neonatal death. An Apgar score of 0-3 at 5 min is uncommon but is a better predictor of neonatal death (in both term and preterm infants) than an umbilical artery pH <=7.0. Infants who fail to initiate respiration should receive prompt resuscitation and close observation. Ref: Nelson; 20th edition; Page no: 798